Midgut is supplied by?
1. Superior mesenteric artery
2. Inferior mesenteric artery
3. Celiac trunk
4. Anastomotic arcade of various arteries

Correct answer: 1. Superior mesenteric artery

Explanation: ANSWER: (A) Superior mesenteric arteryREF: Langmans medical embryology 9th edition page 298, http://en.wikipedia.org.wikipedia org/wiki/H uman_gasto inte stinal_tractThe midgut is supplied with blood by the superior mesenteric artery and innervated by the vagus nerve.Since the foregut is supplied by the celiac artery and the midgut is supplied by the superior mesenteric artery, the duodenum is supplied by branches of both arteriesPartPart in adultGives rise toArterial supplyForegutEsophagus to first 2 sections of the duodenumEsophagus, Stomach, Duodenum (1st and 2nd parts), Liver, Gallbladder, Pancreas, Spleen, Superior portion of pancreasceliac trunkMidgutlower duodenum, to the first two-thirds of the transverse colonlower duodenum, jejunum, ileum, cecum, appendix, ascending colon, and first two- thirds of the transverse colonbranches of the superior mesenteric arteryHindgutlast third of the transverse colon, to the upper part of the anal canallast third of the trans\rerse colon, descending colon, rectum, and upper part of the anal canalbranches of the inferior mesenteric artery